Which of the following drug can result in cerebellar toxicity?
1. Cyclophosphamide
2. Cisplatin
3. Cytarabine
4. Actinomycin D

Correct answer: 3. Cytarabine

Explanation: Cytarabine is pyrimidine analogue At higher dose it is known to cause cerebellar toxicity like ataxia, dysarthria. other side effects- myelosuppression,mucositis,nausea and vomiting. Cyclophosphamide causes hemorrhagic cystitis Cisplatin is most emetogenic anticancer drug. Actinomycin D and doxorubicin can cause vomiting,stomatitis,diarrhoea,erythema,desquamation of skin,alopecia and bone marrow suppression.